Klumpke’s paralysis involves?
1. C8T1
2. C6 C7
3. C7T1
4. C5 C6

Correct answer: 1. C8T1

Explanation: KLUMPKE'S PARALYSIS: Site of injury: lower trunk of brachial plexus Cause of injury: undue abducon of the arms Nerve roots involved: mainly T1 partly C8 Muscles paralyzed: Intrinsic muscles of the hand (Tl) Ulnar flexors of wrist and fingers (C8)
Disability: 1. Claw hand 2. Horner's syndrome 3. Vasomotor changes 4. Trophic changes 5. Cutaneous anesthesia on the ulnar border of hand and forearm